Creatinine is formed from :
1. Arginine
2. Lysine
3. Leucine
4. Histamine

Correct answer: 1. Arginine

Explanation: Glycine, arginine and methionine all participate in creatine biosynthesis